All are protease inhibitor EXCEPT:
1. Ritonavir
2. Amprenavir
3. Tenofovir
4. Nelfinavir

Correct answer: 3. Tenofovir

Explanation: Retroviral protease Inhibitors (Pis) An aspartic protease enzyme encoded by HIV is involved in the production of structural proteins and enzymes (including reverse transcriptase) of the virus. The large viral polyprotein is broken into various functional components by this enzyme. This protease acts at a late step in HIV replication, i.e. maturation of the new virus particles when the RNA genome acquires the core proteins and enzymes. Five protease inhibitors-Indinavir (IDV), Nelfinavir (NFV), Saquinavir (SQV), Ritonavir (RTV) and Lopinavir (in combination with ritonavir LPV /r) have been marketed in India for use against HIV. Tenofovir disoproxil is an antiretroviral medication used to prevent and treat HIV/AIDS and to treat chronic hepatitis B.The active substance is tenofovir, while tenofovir disoproxil is a prodrug that is used because of its better absorption in the gut. ESSENTIALS OF MEDICAL PHARMACOLOGY, en.wikipedia.org K.D.TRIPATHI SIXTH EDITION PAGE NO:772